All of the following are phospholipids, EXCEPT?
1. Cardiolipin
2. Cerebroside
3. Sphingomyelin
4. Surfactant lipid

Correct answer: 2. Cerebroside

Explanation: Phospholipids are those Lipids that contain phosphorus (mainly as a phosphate group) e.g. glycerophospholipids. Cerebrosides is group of glycosphingolipids called monoglycosylceramides. They Do not contain Phosphorus (see fig below). Sphingomyelin is the only sphingolipid with a phosphate group. Surfactants are lipoproteinaceous substances synthesized in alveolar type II cells, which facilitate gas exchange by lowering alveolar surface tension. It contains significant amounts of phospholipid dipalmitoyl phosphatidylcholine.